Ingestion of arsenic causes -
1. Hepatic carcinoma
2. Hepatic adenoma
3. Noncirrhotic portal fibrosis
4. Hepatic cirrhosis

Correct answer: 3. Noncirrhotic portal fibrosis